Vector borne diseases are – a)  Syphilisb)  Typhusc)  Dengued)  J.E.
1. abc
2. bcd
3. ac
4. bd

Correct answer: 2. bcd